Nucleoside is made up of:
1. Pyrimidine
2. Purine
3. Sugar
4. All

Correct answer: 4. All

Explanation: A, B, C i.e. Pyrimidine, Sugar, Purine